In which of the following polysaccharides, monomers are linked by a beta-glycosidic bond
1. Amylose
2. Amylopectin
3. Glycogen
4. Cellulose

Correct answer: 4. Cellulose

Explanation: Cellulose is the chief constituent of plant cell walls. It is insoluble and consists of b-d-glucopyranose units linked by b1 - 4 bonds to form long, straight chains strengthened by cross-linking hydrogen bonds.Ref: Harper's Biochemistry; 30th edition; Chapter 15; Carbohydrates of Physiological Significance